In Forrest classification visible clot at ulcer base is
1. 1A
2. 2A
3. 2B
4. 3

Correct answer: 3. 2B

Explanation: FORREST - Classification of upper gastrointestinal hemorrhage
Acute hemorrhage
Forrest IA - Active spurting hemorrhage
Forrest IB - Oozing hemorrhage
Signs of recent hemorrhage
Forrest IIA - Non-bleeding visible vessel
Forrest IIB - Adherent clot
Forrest IIC - Hematin on ulcer base
Lesions without active bleeding
Forrest III - Clean-base ulcers.